Essential criteria for TOF includes all except
1. Valvular stenosis
2. Infundibular stenosis
3. Over riding of aorta
4. RVH

Correct answer: 1. Valvular stenosis

Explanation: The four components of the tetralogy of Fallot are malaligned VSD, obstruction to RV outflow, aortic override of the VSD, and RV hypertrophy due to the RV's response to aortic pressure the large VSD. ( Harrison's principle of internal medicine,18th edition,pg no. 1926 )